The definition of premature ejaculation, according to DSM-5 is, ejaculation occurring in less than-
1. 1 min
2. 2 min
3. 3 min
4. 5 min

Correct answer: 1. 1 min

Explanation: Premature ejaculation Premature ejaculation is habitual ejaculation before penetration in less than 1 minute or shortly afterwards, so that the woman gains no pleasure. The diagnosis is made when a man regularly ejaculates before or within approximately1 minute of penetration Severity Time of ejaculation after penetration Mild 30 seconds to 1 minute Moderate 15 to 30 seconds Severe Occurs at the start of sexual activity or within 15 seconds It is common among young men during first sexual encounters, and usually improves with increasing sexual experience.